Hydatidiform mole in USG appear as:-
1. Snowstorm pattern
2. Snow driven pattern
3. Cotton wool
4. Polka Dot sign

Correct answer: 1. Snowstorm pattern

Explanation: USG showing snowstorm appearance of Hydatidiform mole Polka dot sign - Thickened trabeculae in a vertebral body hemangioma, as seen on axial computed tomographic (CT) The cotton wool appearance - plain film sign of Paget's disease of bone Snow driven appearance - the calcifying epithelial odontogenic tumor (CEOT), also known as a Pindborg tumor